Tirofiban is a :
1. Monoclonal antibody
2. Antiplatelet drug
3. Anti-inflammatory drug
4. Antianginal drug

Correct answer: 2. Antiplatelet drug